Autoimmune diseases associated with Sjogren syndrome are all except-
1. Addisons disease
2. RA
3. Mixed connective tissue disorder
4. SLE

Correct answer: 1. Addisons disease

Explanation: Sjogren syndrome

Sjogren syndrome is a chronic disease characterized by dry eyes (keratoconjunctivitis sicca) and dry mouth (xerostomia) resulting immunological mediated destruction of the lacrimal and salivary glands.
It occurs in two forms -

1. Primary form (Sicca syndrome) → Occurs as an isolated disorder.
2. Secondary form → When it occurs in association with other autoimmune disorder. It is more common.

Autoimmune diseases associated with Sjogren syndrome

□ Rheumatoid arthritis 
□ Primary biliary cirrhosis
□ Thyroiditis
□ SLE
□ Mixed connective tissue disease
□ Sarcoidosis
□ Polymyositis
□ Vasculitis
□ Scleroderma
□ Chronic active hepatitis 
Amongst these, Sjogren syndrome is associated most commonly with RA.